Quod hanc means:
1. Medically impotent
2. Legally impotent
3. Impotent towards all women
4. Impotent towards a particular woman

Correct answer: 4. Impotent towards a particular woman

Explanation: Ans. Impotent towards a particular woman